All are true regarding Golgi apparatus, except
1. Cis is receiving end
2. Trans is secretory end
3. Nonpolarized structure
4. Situated near nucleus

Correct answer: 3. Nonpolarized structure

Explanation: Golgi apparatus is a polarized structure situated usually near the nucleus and has a receiving end (Cis/Convex) and a secretory end (trans/ Concave).